A 25-year-old male had severe headache followed by unconsciousness. CSF tap revealed red blood cells. Most likely diagnosis is:
1. Subdural hematoma
2. Embolism
3. Tumour
4. Ruptured aneurysm

Correct answer: 4. Ruptured aneurysm

Explanation: Answer is D (Ruptured aneurysm): Severe headache, brief period of unconsciousness and blood in C.S.F. is a classical feature of subarachnoid hemorrhage.